When an inddividual is resting in a room with the air temperature 21degC and the humidity of 80%, the greatest amount of heat lost from body is by
1. Elevation of body metabolism
2. Vaporisation of sweat
3. Respiration
4. Radiation

Correct answer: 4. Radiation

Explanation: During intense exercise, the body loses 85% of its heat through sweating. Radiation (similar to heat leaving a woodstove). This normal process of heat moving away from the body usually occurs in air temperatures lower than 68degF (20degC). The body loses 65% of its heat through radiation. Ref: guyton and hall textbook of medical physiology 12 edition page number:867,868,869